Which of the following is not included in major Jone's criteria aEUR'
1. Pancarditis
2. Chorea
3. Arthritis
4. Elevated ESR

Correct answer: 4. Elevated ESR

Explanation: Elevated E.S.R. * The jones criteria for rheumatic fever: Major criteria * CarditisQ . * Migratory polyahrrusQ Minor cirteria Clinical * Fever * Sydenham's choreaQ * AhralgiaQ * Subcutaneous nodules Laboratory Erythema marginatumQ * Elevated acute phase reactants * Prolonged PR interval PLUS Supporting evidence of a recent group A Streptococcal infection (e.g. positive throat culture or rapid antigen detection test; and or elevated or increasing streptococcal antibody test). To fulfill jones criteria either two major criteria or one major and two minor criteria plus evidence of antecedent streptococcal infection is required.